Antidote in Atropine poisoning is ?
1. Flumazenil
2. Physostigmine
3. Naloxone
4. NaHCO3

Correct answer: 2. Physostigmine

Explanation: Ans. is 'b' i.e., Physostigmine Atropine blocks cholinergic receptors. So, for atropine overdose, we require a drug that increases cholinergic action. Physostigmine increases the concentration of Ach. Physostigmine counteracts central (because it crosses BBB) as well as peripheral symptoms of atropine toxicity (other anticholinesterases like neostigmine and pyridostigmine counteract only peripheral symptoms as they cannot cross BBB) Physostigmine is the DOC.